A 30-year-old woman presented with 3 days H/O mucopurulent cervical discharge. On gram stain of the discharge, numerous pus cells were seen but no organism was seen. Investigation of choice for diagnosis of this infection?
1. Saline mount
2. Culture in Thayer main media
3. Nucleic acid amplification test
4. Serum antibody testing using IF

Correct answer: 3. Nucleic acid amplification test

Explanation: Based on the clinical history, the most likely diagnosis is acute cervicitis and as gram stain does not show any organism (so gonococcal infection is less likely); hence, Chlamydia trachomatis is the most likely organism. For C. trachomatis, investigation of choice and the most sensitive investigation is nucleic acid amplification test (NAAT). Reference: Ananthanarayan and Paniker's Textbook of Microbiology Tenth edition